Disease having autosomal recessive inheritance ?
1. Cystic fibrosis
2. Hydrocephalus
3. Duchene muscular dystrophy
4. all

Correct answer: 1. Cystic fibrosis

Explanation: Ans. is 'a' i.e., Cystic fibrosis Autosomal recessive disorders Metabolic o Cystic fibrosis o Phenylketonuria o Galactosemia o Homocystinuria o Lysosomal storage dis o a1-antitrypsin deficiency o Wilson disease o Hemochromatosis o Glycogen storage disorders Hematological o Sickle cell anemia o Thalassemias Endocrine o Congenital adrenal hyperplasia o Albinism Skeletal Narvous o EDS (some variants) o Friedreich ataxia o Alkaptonuria o Spinal muscular atrophy o Neurogenic muscular atrophies